Which muscle steadies the clavicle during movement of shoulder ?
1. Pectoralis major
2. Latissimus dorsi
3. Subclavius
4. Serratus anterior

Correct answer: 3. Subclavius

Explanation: Ans. is'c'i.e., Subclavius(Ref: Clinical anatomy j'd/e p. 1367)Subclavius steadies the clavicle during movements of shoulder.